Frequency of theta wave -
1. 2-4 Hz
2. 4-8 Hz
3. 8-12 Hz
4. 12-16 Hz

Correct answer: 2. 4-8 Hz

Explanation: Ans. is 'b' i.e., 4-8 Hz Beta (b) waveAlpha (a) waveTheta waveDelta waveRecorded from/seen ino From parietal & frontal region during specific activation of these parts of braino Seen in drowsiness & children and patients awake, at rest with eyes open.o Recorded from parieto occipital regiono Seen in almost all normal adults when they are awake and in quiet resting state of cerebrationo Seen in awake patient at rest with mind wandering and eyes closed.o Seen in hippocampuso In parietal and temporal region of normal children & drowsiness, emotional stress in adults especially disappointment and frustration.Seen in very deep NR EM sleep & infant, serious organic brain disease, in subcortical transactions separating the ceberal cortex from thalamus.Frequency>14 Hz8-13 Hzo 4-7 Hzo 3-5 Hz (min.)AmplitudeLow amplitudeo High amplitudeo High amplitudeo Large amplitude (Max)Voltage o 50 micro volts (usually) to 100 o 2 to 4 times greater than most other types